All are examples of familial multiorgan cancer syndrome associated with pancreatic cancer, EXCEPT:
1. Peutz-Jeghers syndrome
2. Hereditary nonpolyposis colorectal cancer
3. Li-Fraumeni syndrome
4. Familial multiple pancreatic adenoma syndrome otherwise specified

Correct answer: 4. Familial multiple pancreatic adenoma syndrome otherwise specified

Explanation: Up to 16% of pancreatic cancers are inherited. The three clinical settings are: Familial multi-organ cancer syndromes Genetically driven chronic diseases Familial pancreatic cancer with as yet unidentified genetic abnormalities The familial multi-organ cancer syndromes are Peutz-Jeghers syndrome, Familial atypical multiple mole melanoma (FAMMM), Familial breast-ovarian cancer associated with germline mutations in BRCA1 and BRCA2, Hereditary nonpolyposis colorectal cancer (HNPCC), Familial adenomatous polyposis (FAP) Li-Fraumeni syndrome. Ref: Harrison, Edition -18, Page-788.